Elevated levels of alkaline phosphatase are typical findings in each of the following conditions EXCEPT-
1. Cirrhosis
2. Hepatitis
3. Polycythemia vera
4. Myocardial infarction

Correct answer: 4. Myocardial infarction

Explanation: ALKALINE PHOSPHATASE. Serum alkaline phosphatase is produced by many tissues, especially bone, liver, intestine and placenta and is excreted in the bile.